Mechanism of action of theophylline in Bronchial asthma include all of the following Except ?
1. Phosphodiesterase inhibition
2. Adenosine receptor antagonism
3. Increased histone deacetylation
4. Beta-2 receptor stimulation

Correct answer: 4. Beta-2 receptor stimulation

Explanation: Ans. is 'd' i.e., Beta-2 receptor stimulation Proposed mechanisms of action of theophylline Phosphodiesterase inhibition (Non selective) Adenosine receptor antagonism (A1, A2) Increased histone Deacetylase activity (|red efficacy of corticosteroids) Inhibition of intracellular calcium release Stimulation of catecholamine release Inhibition of NF - alpha Beta translocation into the nucleus (nuclear translocation) Mediator inhibition (Prostaglandins, TNF alpha)